Which of the following is a homopolysaccharide?
1. Heparin
2. Chitin
3. Chondroitin sulphate
4. Hyaluronic acid

Correct answer: 2. Chitin

Explanation: Chitin is composed of n-acetyl D-glucosamine held together by beta glycosidic bonds Heparin,chondroitin sulfate,hyaluronic acid are heteropolysacharides. Heparin - composed of D-glucuronate 2-sulfate,n-sulfoglucosamine 6-sulfate Chondritin sulfate-composed of D-glucuronic acid,N-acetylgalactosamine 4-sulfate Hyaluronic acid-D-glucuronic acif,N-acetylglucosamine Ref : satyanarayana ,4th edition pg no: 22